Acrodermatitis hemorrhagica is due to deficiency of-
1. Zinc
2. Manganese
3. Copper
4. Selenium

Correct answer: 1. Zinc

Explanation: Ans. is 'a' i.e., Zinc Symptoms of Zinc DeficiencyMild deficiencySevere dificiencvo Growth retardationo Dwarfism o Cardiomyopathyo Teratogenecityo Hypogonadismo Infertilityo Loss of tasteo Poor wound healingo Deformed boneso Diarrhoeao Alopeciao Night blindnesso Skin striaeo Nail changeso Acrodermatitis enteropathica is an inherited autosomal recessive disorder with imapired intestinal disorder and transport of Zinc.o Patient su ffers with pustular and htdlous dermatitis, alopecia, growth retardation diarrhoes, secondary- infection, lethargy, irritability and depression. Oral Zinc supplementation leads to remission.Zinc# 2nd most abundant trace element in the body.# Most common catalytic metal ion in the cell cytoplasm.# Component of more than 100 enzymes like DNA polymerase, RNA polymerase, transfer RNA synthetase.# It plays role in all stages of insulin metabolism.